Surgical lobes of liver are divided on the basis of -a) Hepatic artery b) Hepatic vein c) Bile ducts d) Portal vein e) Central veins
1. c
2. bd
3. ab
4. ac

Correct answer: 2. bd

Explanation: French anatomist Couinaud divided liver into 8 segments based on portal vein blood supply and hepatic venous outflow.